Stapedius is supplied by
1. V cranial nerve
2. VI cranial nerve
3. VII cranial nerve
4. IX cranial nerve

Correct answer: 3. VII cranial nerve

Explanation: There are two intratympanic muscles Tensor tympani - nerve supply is from the motor division of the trigeminal nerve , Stapedius - supplied by facial nerve